Which of the following anaesthetic agents causes a rise in the Intracranial pressure:
1. Sevoflurane.
2. Thiopentone sodium.
3. Lignocaine.
4. Propofol.

Correct answer: 1. Sevoflurane.

Explanation: A i.e. Sevoflurane